Intermittent dysphagia is caused by -a) Strictureb) Reflux esophagitisc) Achalasia cardiad) Pharyngeal diverticululame) Diffuse esophageal spasm
1. ab
2. bc
3. de
4. bd

Correct answer: 3. de